Sinonasal neoplasm is commonly seen in which industry?
1. Fishing
2. Building
3. Hard wood
4. Iron steel

Correct answer: 3. Hard wood

Explanation: Aetiology of malignant neoplasms Cause of sinus malignancy is largely unknown. People working in the hardwood furniture industry, nickel refining, leather work and manufacture of mustard gas have shown a higher incidence of sinonasal cancer. (Ref: Textbook of diseases of ENT, PL Dhingra, 7th edition, pg no. 231)